Tibial Fracture with > 1 cm wound, slight comminution and moderate crushing is
1. Grade I
2. Grade II
3. Grade III A
4. Grade III B

Correct answer: 2. Grade II

Explanation: B i.e. Grade II